Ehrlichia chaffeensis is causative agents of
1. HME
2. HGE
3. Glandular fever
4. None

Correct answer: 1. HME

Explanation: Ans. a. HME